Metaplasia is thought to be caused in most cases by:-
1. Genetic mutation
2. Oncogenic virus
3. Chronic irritation
4. Immunologic reaction

Correct answer: 3. Chronic irritation

Explanation: Chronic irritation Metaplasia is commonly seen in the epithelial surfaces of the bronchial tree secondary to chronic irritation of cigarette smoke. Metaplasia may also be seen in areas of long-standing, chronic infections.